Ossification of long bones begins at what age?
1. 3rd week of gestation
2. 7th week of gestation
3. 5th week of gestation
4. 9th week of gestation

Correct answer: 2. 7th week of gestation

Explanation: Ossification in the long bones begins by the end of the 7th week of gestation with shaft of femur Ref: Gray's39e/p125-150